Minipill containing 75 gg of desogestrel is used for contraception. Which of the following is its schedule of administration ?
1. Taken once a day pill for 3 months 7 days pill free interval
2. Taken once a day pill for 2 months 7 days pill free interval
3. Taken for 21 days with 7 days pill free interval
4. Taken for 28 days with no pill free interval

Correct answer: 4. Taken for 28 days with no pill free interval

Explanation: Ans. is 'd' i.e., Taken for 28 days with no pill free interval o Minipill is given throughout the cycle.